Which of the following graft is known as wolf's graft
1. Split thickness graft
2. Full thickness graft
3. Partial thickness graft
4. Myocutaneous graft

Correct answer: 2. Full thickness graft

Explanation: Wolfes graft → Full thickness graft
Thiersche graft → Partial thickness graft